The intrinsic factor of Castle is secreted by
1. Chief cells
2. Parietal cells
3. Enterochromaffin like cells
4. G-cells

Correct answer: 2. Parietal cells

Explanation: Parietal cells secrete hydrochloric acid and intrinsic factor, and chief cells produce pepsinogens and gastric lipase. Enterochromaffin-like cells secrete Histamine. G cells secrete gastrin hormone. Reference: Ganong's review of Medical Physiology, 25th ed, Page: 458